The amount of GI bleed that can be detected by angiography -
1. 0.5 ml/min
2. 0.1 ml/min
3. 5 ml/min
4. 2 ml/min

Correct answer: 1. 0.5 ml/min